Commonest symptom of carcinoma bronchus is ?
1. Hemoptysis
2. Dyspnoea
3. Cough
4. Wheezing

Correct answer: 3. Cough

Explanation: Ans. is 'c' i.e., Cough